Ribs develop from:
1. Endothoracic fascia
2. Para-axial mesenchyme
3. Deep intercostal fascia
4. Superficial intercostal fascia

Correct answer: 2. Para-axial mesenchyme

Explanation: Ans. B Para-axial mesenchymeRef: Gray's Anatomy, 41st ed. pg. 212* The axial skeleton, vertebrae and ribs are derived from paraxial mesenchyme* The skull is derived from paraxial mesenchyme and neural crest mesenchyme* The skeletal elements in the limbs are derived from somatopleuric mesenchyme, which forms the limb buds.